The inhibitory neurotransmitter in CNS neurons is
1. Glutamate
2. Aspartate
3. Gamma-amino butyric acid
4. Taurine

Correct answer: 3. Gamma-amino butyric acid

Explanation: GABA and Glycine are the chief inhibitory neurotransmitters in CNS.